chocking of respiratory passage by bolus of food ?
1. Gaging
2. Overlying
3. Cafe coronary
4. Burking

Correct answer: 3. Cafe coronary

Explanation: Ans. is 'c' i.e., Cafe coronary